Blood gas measurements of a patient shows the followilng values pH 7.2, p CO2 80 mmHg,pO2 46 mmHg. Which of the following could be the most probable diagnosis -
1. Acute asthma
2. Acute exacerbation of COPD
3. ARDS
4. Severe pneumonia

Correct answer: 2. Acute exacerbation of COPD